The prime objective of doing a medicolegal autopsy is
1. Time of death
2. Cause of death
3. Manner of death
4. All of the above

Correct answer: 4. All of the above

Explanation: Objectives of Medicolegal autopsy: Cause of death Time since death Manner of death To establish identity when not known To collect physical evidence To determine live birth and viability in deaths of new born infants. Ref: K.S.Narayan Reddy's Synopsis of Forensic Medicine and Toxicology, 29th edition, Chapter 5, page -61.